Pirenzepine is used in:
1. Peptic ulcer
2. Psychosis
3. As sedative
4. Overactive bladder

Correct answer: 1. Peptic ulcer

Explanation: Ans. A. Peptic ulcerPirenzepine is M1 antagonist which is present on the gastric glands. It decreases the acid secretion and thus used in peptic ulcer.